Patients on oral bisphosphonate therapy can be successfully treated with implant surgery, when minimum values of [-terminal cross-linked telopeptide type I collagen (CTX) are
1. 150 pg/ml
2. 100 pg/ml
3. 80 pg/ml
4. 50 pg/ml

Correct answer: 1. 150 pg/ml